Gotrons sign is a feature of:
1. Systemic sclerosis
2. SLE
3. Sjogrens syndrome
4. Dermato Myositis

Correct answer: 4. Dermato Myositis

Explanation: Dermato Myositis